A young women with secondary amenorrhea and galactorrhea. MRI shows a tumour of < lOmm diameter in the pituitary fossa. Treatment is:
1. Hormonal therapy for withdrawal bleeding
2. Radiotherapy
3. Chemotherapy
4. Bromocriptine

Correct answer: 4. Bromocriptine

Explanation: Answer is D (Bromocriptine): Secondary Amenorrhea and galactorrhea in a young women with evidence of microadenoma (tumor I Omm) in the pituitary fossa suggest a diagnosis of prolactinoma. Oral dopamine agonists (Dopamine or Cabergoline) are the treatment of choice for patients with prolactinomas.